A 50-year-old alcoholic is rushed to the hospital with bleeding esophageal varices and expires. At autopsy, the patient's protruding abdomen is found to contain a large volume of serous fluid. What is the appropriate term used to describe this fluid?
1. Ascites
2. Exudate
3. Hemorrhage
4. Hydrothorax

Correct answer: 1. Ascites

Explanation: A protruding belly and fluid accumulation in patients with cirrhosis represents ascites (i.e., accumulation of serous fluid in the abdominal cavity). It is primarily a consequence of portal hypertension and hypoalbuminemia. None of the other choices describe serous fluid accumulation in the abdomen.Diagnosis: Cirrhosis, portal hypertension